The Finnish type of congenital nephrotic syndrome occurs due to gene mutations the following protein:
1. Podocin
2. Alpha - actinin
3. Nephrin
4. CD2 activated protein

Correct answer: 3. Nephrin

Explanation: Answer is C (Nephrin):"A mutation in the Nephrin gene causes a hereditary form of congenital Nephrotic syndrome (Finnish type) with minimal change glomerular morphology"- Nephrin is a key component of the slit diaphragmIt is a zipper like structure between podocyte foot processes that might control glomerular permeabilityThe Nephrin gene maps to chromosome 19q 13 and is termed as NPHSI.Several type of Mutations of the NPHSI gene have been identified and they give rise to congenital nephritic syndrome of the Finnish type.Podocin' has also been recognized as a component of the slit diaphragmPodocin is encoded by a gene termed as NPHS 2 and maps to chromosome.Mutation in the podocin gene or NPHS2 lead to an autosomal recessive form of focal segmental glomerulosclerosis